All of the following antihypertensive drugs increase plasma renin activity except:
1. Clonidine
2. Hydralazine
3. Nifedipine
4. Captopril

Correct answer: 1. Clonidine

Explanation: Plasma renin activity is increased by reflex increase in sympathetic discharge. Clonidine decreases central sympathetic outflow and thus will decrease the plasma renin activity. Vasodilators and ACE inhibitors result in reflex increase in plasma renin activity.